A patient with AIDS and a CD4 cell count of 100/ml, has a persistent fever and a weight loss associated with invasive pulmonary disease due to M avium complex. Optimal management of this case requires:
1. Select an antibiotic regimen based on drug susceptibility of the cultured organism
2. Start treatment with isoniazid and rifampicin
3. Treat the patient with clarithromycin, ethambutol and rifabutin
4. Treat with trimethoprim sulfamethoxazole

Correct answer: 3. Treat the patient with clarithromycin, ethambutol and rifabutin

Explanation: Mycobacterium avium complex infection is treated with combination of rifabutin, ethambutol and clarithromycin. (REC) These drugs are given once daily. Clarithromycin can be replaced with azithromycin which is long acting and can be administered once a week.